A fisherman presents with C/O chronic diarrhea and fatigue. His physician orders a P/S, which reveals a megaloblastic anemia. Most likely cause is
1. Clonorchis sinensis
2. D. latum
3. E. granulosus
4. T. saginata

Correct answer: 2. D. latum